A child makes tower of 4 cubes at –
1. 1 year
2. 1&1/2 years
3. 3 years
4. 4 years

Correct answer: 2. 1&1/2 years